Hyperkalemia means more than
1. 4.5 mEq/l
2. 5.5 mEq/l
3. 7.5 mEq/l
4. 10.5 mEq/l

Correct answer: 2. 5.5 mEq/l

Explanation: Normal plasma K+ concentration is b/w 3.5 & 5.0 mEq/L. Hyperkalemia is defined as a plasma potassium level more than 5.5 mEq/L Hypokalemia: plasma K+ < 3.5 mEq. Severe hyperkalemia is K+ > 6.0 mEq. > 8.0 mEq- Causes diastolic arrest (Systolic arrest seen when Ca > 13 mg %) Causes of hyperkalemia: Pseudo hyperkalemia: Fist clenching, narrow bore needle, cooling of sample, TLC |, Platelet |, RBC| Acidosis: Trans-cellular shift CKD/AKI Aldosterone | - Addison disease, histoplasmosis, HIV, Waterhouse Frederickson syndrome Gordon syndrome - + gain of function of NaCl cotransport ECG changes in Hyperkalemia - Tall tented T wave ST elevation Broad QRS If > 8.0 mEq: SINE WAVE PATTERN is seen. Treatment: Antagonism: Calcium gluconate , calcium chloride Redistribution: Insulin drip with 50% dextrose; salbutamol nebulization Removal of potassium: Furosemide, resin sodium polystyrene sulphonate etc